All are uses of the growth chart Except
1. Diagnostic tool
2. Tool for teaching
3. Planning and policy making
4. Vaccination reminder

Correct answer: 4. Vaccination reminder

Explanation: Uses of growth chart:1) For growth monitoring2) Diagnostic tool3) Planning and policy making4) Education tool5) Tool for action6) Evaluation7) Tool for teachingPark 23e pg: 548